Which of the following is the most reliable clinical endpoint to indicate adequate atropinisation in organophosphate poisoning:
1. Pupillary dilatation
2. Control of diarrhea
3. Heart rate more than or equal to 100 beats/min
4. Absence of pulmonary secretions

Correct answer: 4. Absence of pulmonary secretions